Positive Schick's test indicates that person is -
1. Immune to diphtheria
2. Hypersensitive to diphtheria
3. Susceptible to diphtheria
4. Carrier of diphtheria

Correct answer: 3. Susceptible to diphtheria

Explanation: Positive test means that person is susceptible to diphtheria: So immunization is required.
Shick Test

Ref: Apurba Sastry’s Essentials of Medical Microbiology 1/e p248, Ananthanarayan 9/e p 241